Sand fly transmits:
1. Trench fever
2. Kala Azar
3. Chagas disease
4. KFD

Correct answer: 2. Kala Azar

Explanation: Ans: b (Kala Azar) Ref: Park, 19th ed, p. 256In India the major vector is Phlebotomus argentipus. Cutaneous leishmaniasis is transmitted by P. sergenti, P. papatasi.Arthropod borne diseasesArthropodDisease transmittedMosquitoMalaria, filarial, viral encephalitis, viral hemorrhagic fevers, viral feversHouse flyTyphoid, paratyphoid, diarrhea, dysentry, cholera, gastroenteritis, amoebiasis, Polio, conjunctivitis, trachoma, anthraxSand flyKala Azar, oriental sore, oroya fever, sandfly feverTsetse flySleeping sicknessLouseEpidemic typhus, relapsing fever, trench fever,pediculosisRat fleaBubonic plague, endemic typhus, chiggerosis, hymenolepis diminutaBlack flyOnchocerciasisReduvid bugChagas diseaseHard tickTick typhus, tick paralysis, human babesiosis, tularemia, viral encephalitis, KFDSoft tickQ fever, relapsing feverTrombiculide miteScrub typhus, Rickettsial poxItch mitescabiesCyclopsGuinea worm disease, fish tape wormCockroachesEnteric pathogens